Holdsworth classification of thoracolumbar spine fracture is based on how many columns of spine?
1. Two
2. Three
3. Five
4. Four

Correct answer: 1. Two

Explanation: Answer- A. TwoHoldsworth,s proposed two column concept of thoracolumbar spine fractureAntetior column : Consists vertebral body, annulus fibrous, Anterior and posterior longitudinal ligamentsposterior column: Consists of vertebral arch (pedicle, facets, laminae) and posterior ligaments (ligamentum flavum,interspinous and supraspinus ligament)